Gynaecomastia may be associated with administration of-
1. Ranitidine
2. Cimetidine
3. Terfenadine
4. Omeprazole

Correct answer: 2. Cimetidine

Explanation: Ans. is 'b' i.e., Cimetidine Cimetidine (but not other H2blockers) o Has anti-androgenic action (by displacing DHT from receptor) o Increases plasma prolactin levels --> Galactorrhea in female o Inhibits degradation of Estradiol by liver. Therefore it cause gyaenecomastia, loss of libido, impotence & temporary decrease in sperm count. Other adverse effects of cimetidine o CNS effects --> confusional state (Delirium), restlessness, convulsions, coma, headache, dizziness, hallucination. o Bowel upset, rashes, dry mouth. o Bolus i.v. injection can cause histamine release --> arrhythmias and cardiac arrest. o Transient elevation of plasma aminotransferases. o Cimetidine inhibits several cytochrome P-450 isoenzymes --> inhibits metabolism of many drugs.